Hunter syndrome is due to deficiency of
1. Beta galactosidase
2. Sphingomyelinase
3. Iduronate Sulfatase
4. Hyaluronidase

Correct answer: 3. Iduronate Sulfatase

Explanation: Ans. is 'c' i.e., Iduronate Sulfatase